Ophthalmic change initially seen in DM:
1. Microaneurysm
2. Hard exudates
3. Cotton wool exudates
4. Neovoscularization

Correct answer: 1. Microaneurysm

Explanation: A i.e. Microaneurysm